Chorea occure due to damage-
1. Subthalamus
2. Globus pallidus
3. Substantia nigra
4. Striatum

Correct answer: 4. Striatum

Explanation: Ans. is 'd' i.e., Striatum DiseasePart of Basal ganglia involvedParkinsonismHuntington choreaBallismAthetosisSubstantia nigra pars compacta - Nigrastriatal pathwayStriatum (mainly caudate nucleus; may be putamen)Subthalamic nucleiGlobus pallidus (mainly)Q and Subthalamic nucleus.